Causative agent of influenza?
1. H influenzae
2. Orthomyxovirus
3. Paramyxovirus
4. Coronavirus

Correct answer: 2. Orthomyxovirus

Explanation: Ans. is 'b' i.e., Orthomyxovirus